If incidence = 50 cases/1000 population/year and mean duration of disease = 5 years, then prevalence would be:
1. 10
2. 250
3. 10-Jan
4. 1/250

Correct answer: 2. 250